Efficacy of new drug A is compared with an existing drug B in:
1. Clinical trial phase I
2. Clinical trial phase II
3. Clinical trial phase III
4. Clinical trial phase IV

Correct answer: 3. Clinical trial phase III

Explanation: Phase Unit of study Purpose PRECLINICAL PHASE Lab experiments Animals Pretesting CLINICAL PHASE Typical No. of patients Phase 0 Healthy human volunteers Micro - dosing Phase I Healthy human volunteers Safety and non - toxicity profile 10 to 30 usually healthy volunteers Phase II Patients Effectiveness Fewer than 100 Phase III Patients Comparison with existing drugs Hundreds or thousands Phase IV Patients Long term side effects Many thousands